The upper line in the road-to-health card corresponds to:
1. 95th percentile
2. 50th percentile
3. 3rd percentile
4. 90th prercentile

Correct answer: 2. 50th percentile

Explanation: 50th percentile